Thrombocytopenia is not seen in:
1. H.S. purpura
2. DIC
3. Leukemia
4. Metastasis

Correct answer: 1. H.S. purpura

Explanation: Answer is A (H. S. Purpura)